Sputum can be disinfected by all except?
1. Autoclaving
2. Boiling
3. Cresol
4. Chlorhexidine

Correct answer: 4. Chlorhexidine

Explanation: Ans is 'd' i.e., Chlorhexidine Sputum is disinfected by boiling, autoclaving, incineration, deep hole burning, 5% phenol or 5% cresol.